podofyllin application is treatment of choice in ?
1. plantar was
2. condyloma lata
3. condyloma accuminata
4. plain was

Correct answer: 3. condyloma accuminata

Explanation: genital was or condyloma lata due to human papilloma viruses Treatment Modalities 1. Podophyllin- cytotoxic chemical agent very toxic to normal skin. Can only be used on external was. include necrosis, fistula, and anal stenosis Multiple treatments are usually required Other caustic agents are available Eg. Bichloracetic Acid ref : thomas habif